Best prenatal treatment for CAH is:
1. Dexamethasone
2. Betamethasone
3. Prednisolone
4. Hydrocortisone

Correct answer: 1. Dexamethasone

Explanation: Maternal Dexamethasone treatment is given to suppress fetal androgen overproduction and prevent virilization of female fetuses.